Which of the following drug treatment increases thirst and causes dilute diuresis?
1. Phenobarbitone
2. Lithium
3. Chlorpromazine
4. Clozapine

Correct answer: 2. Lithium

Explanation: Lithium is a drug of low therapeutic index and side effects are nausea , vomiting, mild diarrhea, edema, thirst bad polyuria. Tremors , hypothyroidism, weight gain and diabetes insipidus can also occur. All the other drugs donot have such a side effect Ref: KD Tripati 8th ed.